Anaesthetic of choice for cardiac anaesthesia –
1. Isoflurane
2. Ketamine
3. Methoxyflurane
4. Halothane

Correct answer: 1. Isoflurane